Lipid in the tissue is detected by
1. PAS
2. Myeloperoxidase
3. Oil Red O
4. Mucicarmine

Correct answer: 3. Oil Red O

Explanation: Ref Bancroft histology 6/e p53 Oil Red O is a lysochrome diazo dye used for staining of neutral triglycerides and lipids on frozen sections and some lipoproteins on paraffin sections. It has the appearance of a red powder with maximum absorption at 518 nm